Acoustic neuroma of 1 cm diameter, the investigation of choice:
1. CT scan
2. MRI scan
3. Plain X-ray skull
4. Air encephalography

Correct answer: 2. MRI scan

Explanation: (b) MRI scan(Ref. Cummings, 6th ed., 2751)The gold standard investigation for the diagnosis of acoustic neuroma is gadolinium enhanced MRI. Even very small asymptomatic lesions can be observed by MRI.